A 40 year old patient has undergone an open cholecystectomy. The procedure was reported as uneventful by the surgeon. She has 100ml of bile output from the drain kept in the gallbladder bed on the first postoperative day. On examination she is afebrile and anicteric. The abdomen is soft and bowel sounds are normally heard. As an attending surgical resident, what should be your advice?
1. Order an urgent endoscopic retrograde cholangiography and biliary stenting
2. Urgent laparotomy
3. Order an urgent hepatic iminodiacetic acid scintigraphy (H1DA)
4. Clinical observation

Correct answer: 4. Clinical observation

Explanation: A minimal amount of bile leakage persists for a day or two following cholecystectomy. It does not require any intervention as long as the bile leak is less than 500 ml and it decreases gradually. Any bile leak persisting for more than three postoperative days or more than 500 ml requires investigation. Causes : Common bile duct injury Slippage of knots off the cystic duct stump Injury to intrahepatic biliary duct during dissection of gall bladder of liver bed